A lumpy feeling in throat relieved on taking food is attributed to
1. Globus pharyngeus
2. Pharyngeal pouch
3. Diverticular disease
4. Exophageal atresia

Correct answer: 1. Globus pharyngeus

Explanation: Globus PharyngeusSymptom: a patient describes something stuck in the throat or a sensation of lump or tightness in the throat which is relieved by taking food or talkingRef: PL Dhingra, Diseases of Ear, Nose & Throat, 7th edition, pg no. 389